The most common location of hypertensive intracranial hemorrhage is
1. Subarachnoid space
2. Basal ganglia
3. Cerebellum
4. Brainstem

Correct answer: 2. Basal ganglia

Explanation: The most common locations of hypertensive ICH are: 1) Basal ganglia (putamen or caudate), 2) Thalamus, 3) Pons and 4) Cerebellum. Within the basal ganglia region, it is rare for an ICH to specifically affect one area; Ref Harrison20th edition pg 2345